Drugs used for treating schizophrenia are chiefly:
1. Antimaniac
2. Antidepressant
3. Antihistaminics
4. Antipsychotic

Correct answer: 4. Antipsychotic

Explanation: Ans. D: Antipsychotic Antipsychotics have been a mainstay of therapy for schizophrenia since the introduction of chlorpromazine in the mid-1950s, which revolutionized treatment. Atypical/second generation antipsychotic drugs, such as riseperidone, olanzapine, quetiapine. Aripiprazole, and ziprasidone, are more commonly used than the older typical/first generation antipsychotics such as trifluoperazine and haloperidol, in acute stages. Atypical antipsychotics are also useful when negative symptoms are prominent, e.g. in chronic schizophrenia.